Hyrtl's law is used to determine:-
1. Ageing of skull
2. Sexing of sternum
3. Ageing of sternum
4. Sexing of skull

Correct answer: 2. Sexing of sternum

Explanation: Hyrtl's law: To detemine the sex of the sternum In males, the body is longer than twice the length of manubrium. In females, the body is shorter than twice the length of manubrium.